Posterior pituitary secrets?
1. GH
2. TSH
3. ADH
4. FSH

Correct answer: 3. ADH

Explanation: Ans. is 'c' i.e., ADH Anterior pituitary has two types of cells : ? 1. Acidophilic cells Somatotrophs Secrete growth hormone Lactotrophs Secrete prolactin 2. Basophilic cells Coicotrophs Secrete ACTH, POMC, MS H Thyrotrophs Secrete TSH Gonodotrophs Secrete FSH, LH